Which of the following is expected to increase in response to haemorrhage?
1. Arteriolar dilation in skeletal muscle
2. Sympathetic activity
3. Sodium excretion
4. Water excretion

Correct answer: 2. Sympathetic activity

Explanation: When hemorrhage occurs, there is no stimulation of arterial baroreceptors and so sympathetic output is increased leading to vasoconstriction and reflex tachycardia Increased secretion of Vasopressin and aldosterone also occurs in circulatory shock. Both these hormones cause retention of sodium and water thus increasing BP Vasoconstriction occurs mainly in skin and viscera diverting blood to vital organs. Blood vessels of the brain and heart are spared. Ref: Textbook of medical physiology by N Geetha, 2nd edition, page no. 184,185